Malampatti grading is for –
1. Mobility of cervical spine
2. Mobility of atlanto axial joint
3. Assessment of free rotation of neck before intubation
4. Inspection of oral cavity before intubation

Correct answer: 4. Inspection of oral cavity before intubation

Explanation: Mallampati score is done for :- 

Oral cavity assessment to rule out difficult airway, and
Sleep apnea evaluation.